It during laryngoscope, a satisfactory laryngeal view is not achieved, which maneuver is done-
1. Neck should be flexed
2. Chin lift
3. Jaw thrust
4. Backward - upward - rightward pressure

Correct answer: 4. Backward - upward - rightward pressure

Explanation: The BURP maneuver has shown to improve laryngeal view decreasing rate of difficult intubation from 4.7% to 1.8%. BURPis a technique of external laryngeal manipulation of the airway during intubation for bettervisualizationof the larynx. This involvesBackward,Upward,RightwardPressure on thyroid cartilage.